All of the following vaccine are recommended for elderly travelers, except-
1. Influenza
2. Pneumococcal
3. Tetanus
4. Measles

Correct answer: 4. Measles